Leucocidin is produced by:
1. Streptococcus
2. Staphylococcus
3. Pseudomonas
4. E. Coli

Correct answer: 2. Staphylococcus

Explanation: Ans. B i.e. Staphylococcus